Frieberg's disease involve
1. Tibial tuberosity
2. Calcaneal tuberosity
3. 2nd metatarsal
4. 5th metarasal

Correct answer: 3. 2nd metatarsal

Explanation: condition characterized by infarction and fracture of the metatarsal head. Most often seen in 2nd metatarsal (MT) head, particularly the dorsal aspect4th and 5th MT rarely affected Bony nucleus of epiphysis is affected in osteochondritis Ref: Maheshwari and Mhaskar 6e pg 318.